Hamman's sign is positive in emphysema.
1. Mediastinal
2. Surgical
3. Panacinar
4. Interstitial

Correct answer: 1. Mediastinal

Explanation: Mediastinal